The loading dose of aminophylline is :
1. 50–75 mg/kg
2. 0.5–1 mg/kg
3. 2–3.5 mg/kg
4. 5–6 mg/kg

Correct answer: 4. 5–6 mg/kg

Explanation: Aminophylline is administered in a dose of 5-7 mg/kg slow intravenous infusion. In children, the dose required is 7.5 mg/kg.